Heat rupture can be differentiated from incised wound by -
1. Intact blood vessels & nerves at the floor of the wound
2. Seen in front of thing
3. Small in back of thing
4. Small and multiple

Correct answer: 1. Intact blood vessels & nerves at the floor of the wound

Explanation: HEAT RUPTURE: If heat applied is very great skin contracts and heat rupture occurs either before or after death. heat rupture is differentiated from incised wounds by 1. absence of bleeding in the wound and surrounding tissues, since heat coagulates 2. intact vessels and nerves are seen in the floor 3. irregular margins 4. bruising and other signs of vital reactions are not present in the margins REF: The Synopsis of Forensic Medicine and Toxicology 29th edition page no:161.